Products of uronic acid pathway in human beings are all EXCEPT:
1. Vitamin C
2. Pentoses
3. NADH
4. Glucuronic acid

Correct answer: 1. Vitamin C

Explanation: Humans cannot synthesize vitamin C due to deficiency of enzyme, L-Gulonolactone Oxidase Uronic acid pathway in humans